The following are true of vibro cholerae except
1. Produces indole and reduces nitrates
2. Synthesises neuraminidase
3. Dies rapidly at low temperature
4. All

Correct answer: 3. Dies rapidly at low temperature

Explanation: Ans. is 'c' i.e., Dies rapidly at low temperature . Duration of protection of cholera vaccine is 3-6 months. . Vibrio cholerae does not die at lower temperature, infact it grows at lower temperature (range 16-40degC)